M. tuberculosis , virulence factors  are encoded by
1. Kat-G gene
2. rpoV
3. Erp gene
4. All of the above

Correct answer: 4. All of the above

Explanation: → Kat-G gene ⇒ Encodes for oxidase, catalase enzyme.
→ rpoV ⇒ Main sigma factor initiating transcription of several genes.
→ Erp gene ⇒ Encodes for protein required for multiplication.
→ Strains of Beijing / W genotype family.